The organism causing destruction of skin grafts is ?
1. Streptococcus
2. Staphylococcus
3. Pseudomonas
4. Clostridium

Correct answer: 1. Streptococcus

Explanation: Ans. is 'a' i.e., Streptococcus